Alkali injury to eye causes?
1. Globe perforation
2. Retinal detachment
3. Optic neuritis
4. Symblepharon

Correct answer: 4. Symblepharon

Explanation: ANSWER: (D) SymblepharonREF: khurana 4th ed p. 415Complications of alkali injury to eyeSymblepharonRecurrent corneal ulcerationDevelopment of complicated cataractSecondary glaucoma